The most important area involved in planning and organizing complex sequential skilled movements is
1. Primary Motor Area
2. Premotor Area
3. Supplementary motor Area
4. Primary sensory Area

Correct answer: 3. Supplementary motor Area

Explanation: Answer is C (Supplementary motor Area): The most important area involved in planning and organizing complex sequential skilled movements is the Supplementary Motor Area (SMA). The SMA is important for planning and organizing complex sequential movements. For example the sequence of finger movement required to play a muscal instrument such as Clarinet or Piano is planned and organized in the SMA'.